A 60-year old male presented with Yellowish discoloration thickening and tunneling of 2 fingernailand one toe nail.Which of the following will clinch the dignosis at the earliest?
1. Wood's lamp examination
2. KOH mount
3. Slit smear (split skin smear}
4. Gram stain

Correct answer: 2. KOH mount

Explanation: Yellowish discolouration with thickening tunneling indicates a fungal infection maily dermatophytic infection - tinea ungum. rapid diagnostic test to diagnose the condition is koh mount. 30% koh is used for nails. Fungus appear as translucent branching hyphae with septa. slit skin smear is used to diagnose leprosy grams stain is useful to diagnose candidacy paronychia or any acute bacterial infection Iadvl textbook of dermatology page 272